Nerve of anterior compartment of leg ?
1. Superficial peroneal
2. Deep peroneal
3. Saphenous
4. Sural

Correct answer: 2. Deep peroneal

Explanation: Ans. is 'b' i.e., Deep peroneal